A patient in regular rhythm presents with absent P waves on ECG. Leads II, III and AVF reveal a Saw-Tooth Pattern. Which of the following is the most likely diagnosis:
1. Atrial Fibrillation
2. Atrial Flutter with Variable Block
3. Atrial Flutter with Fixed Block
4. Multifocal Atrial Tachcardia

Correct answer: 3. Atrial Flutter with Fixed Block

Explanation: Answer is C (Atrial Flutter with Fixed Block) The absence of any discernible P waves on ECG, together with the presence of Saw Tooth Flutter waves in inferior leads (Leads II, III and AVF) strongly suggests a diagnosis of Atrial Flutter. The presence of a regular rhyti,,o suggests a Fixed Block . Findings/Features Diagnosis Irregular Rhythm with no discernible P wave (Chaotic base line with fibrillary f waves) Atrial Fibrillation Irregular rhythm with no discernible P wave (Saw tooth ,Ilutter waves especially in inferior leads and VI) Atrial Flutter with variable block Regular rhythm with no discernible P waves (Saw tooth flutter waves especially in inferior leads and V1) Atrial Flutter with fixed block Irregular Rhythm with multiple P wave morphologies (P waves Discernible) and Varying PR intervals Multifocal Atrial Tachycardia